The reward or pleasure center is present in
1. Ventral tegmental area
2. Ventromedial medulla
3. Magnus raphe nucleus
4. Locus coeruleus

Correct answer: 1. Ventral tegmental area